All of the following statements about Brown Sequard Synndromes are true, except:
1. Ipsilateral loss of power
2. Contralateral loss of Proprioception
3. Ipsilateral loss of Fine touch
4. Contralateral loss of pain

Correct answer: 2. Contralateral loss of Proprioception

Explanation: Proprioception is lost on the same side of lesion in Brown Sequard syndrome. Brown sequard syndrome or hemisection of the cord is associated with loss of posterior column sensations (vibration, joiny position sense, proprioception, fine touch) on the same side of lesion. Sensations transmitted by the anterolateral column or spinothalamic tract (pain, crude touch, temperature) are lost on the opposite side of lesion. Motor power is lost on same side as that of the lesion due to involvement of the ipsilateral corticospinal tract. Brown Sequard syndrome (Hemisection of cord): Sensations transmitted by the posterior (dorsal) column are lost on the same Motor power controlled by the corticospinal tract is lost on the same side of the lesion Sensations transmitted by the anterolateral spinothalamic tracts are lost on the opposite side Sensations lost on the same side as the lesion Ipsilateral posterior column involvement Vibration Joint position (proprioception) Fine touch Fibers from the posterior column ascend in the spinal cord uninterrupeted upto the medulla where they decussate (cross-over) Motor power is lost on the same side as that of the lesion Ipsilateral corticospinal tract involvement: Loss of voluntary motor power Planter extensor response (positive Babinski reflex) Brisk tendon jerks. Sensations lost on the opposite side of lesion. Contralateral spinothalamic tract involvement: Touch (crude touch) Pain Temperature Fibers from the spinothalamic tract ascend in the spinal cord on the contralateral side after having crossed over at their respective spinal levels Ref: Harrisons; Fuller